The melting point of titanium is ____________ degree celsius
1. 1056
2. 1560
3. 1668
4. 1886

Correct answer: 3. 1668